Amylase is raised in all except
1. Parotitis
2. Pancreatic pseudocyst
3. Serous cyst adenoma of pancreas
4. None of the above

Correct answer: 3. Serous cyst adenoma of pancreas

Explanation: In Serous cyst adenoma of pancreas both amylase and CEA levels are decreased.